Nihilistic delusions seen in: (Repeat)
1. Depression
2. Mania
3. Schizophrenia
4. OCD

Correct answer: 1. Depression

Explanation: Ans: A (Depression) Ref: Kaplan & Sadock's Synopsis of Psychiatry. 10th editionExplanation:Delusion is one of the psychotic symptoms seen in several disorders (see previous question).Delusion is false, unshakable belief held with extraordinary conviction.Nihilistic delusion is a type of delusion, characterized by a false belief that everything will come to an end including one's life or lost everything including one's body parts.It is seen in severe depression.Hypochondriac delusion is a false belief that one has an incurable illness.Cotrad syndrome: Presence of both nihilistic and hypochondriac delusions, seen in severe depression. Other delusions seen in depression are:Delusion of hopelessness/helplessness/ worthlessness.Delusion of guilt (marker of suicidality).Mania - Delusion of grandiositySchizophrenia - Bizarre delusions, delusion of persecution/reference.